Encapsulation in bacteria helps in
1. Spore formation
2. Decreased virulence
3. Prevent their phagocytosis
4. Oxygen effect

Correct answer: 3. Prevent their phagocytosis